Wound contraction can be most effectively minimized by:
1. Split skin graft
2. Full thickness grafting
3. Allowing secondary granulation
4. Dressing with placenta

Correct answer: 2. Full thickness grafting